Fibroblast proliferation is stimulated by?
1. TGF-β
2. IFN-γ
3. TNF-α
4. IL-10

Correct answer: 1. TGF-β

Explanation: “TFG-β is practically always involved as an important fibrogenic agent” - Robbins
• The most important fibrogenic mediator (causing fibrosis) is transforming growth factor- β. It induces the proliferation of fibroblasts, endothelial cells and specialized fibrogenic cells. It is chemotactic for fibroblasts, neutrophils, macrophages, lymphocytes and smooth muscle cells.